A female patient has TSH elevated above normal and subnormal free T4. What is the likely diagnosis?
1. Primary hypothyroidism
2. Secondary hypothyroidism
3. Hyperthyroidism
4. Subclinical hypothyroidism

Correct answer: 1. Primary hypothyroidism

Explanation: Answer- A. Primary hypothyroidismElevated TSH with decreased T3/74 in the patient is suggestive of primary hypothyroidism"